A child presents with antimongoloid slant, pulmonary stenosis, short stature, and undescended testis. The likely diagnosis is _____
1. Hypoparathyroidism
2. Noonan syndrome
3. Klinefelter syndrome
4. XYY sex chromosome

Correct answer: 2. Noonan syndrome

Explanation: The child presenting with the antimongoloid slant, pulmonary stenosis, short stature, and undescended testis is suggestive of Noonan syndrome. Noonan syndrome: Autosomal-dominant disorder (12q) Male or female with Turner phenotype; normal karyotype Clinical features: Down-slanting palpebral fissure (antimongoloid slant) Pectus carinatum Hypertelorism Cryptorchidism Low levels of clotting factor 11 and 12 Leukemia (Juvenile chronic myelogenous leukemia) Moderate intellectual disability in 25% Cardiac abnormality: Most common is pulmonary valve stenosis Hypertrophic cardiomyopathy Atrial septal defect Coarctation of aorta Short stature, webbed neck, low set ears, cubitus valgus: Similarities with Turner syndrome Ptosis, micrognathia, Clinodactyly, delayed puberty Difference between Noonan syndrome and Turner's syndrome: Noonan syndrome Turner Syndrome Normal karyotype (46XX/46XY) 45,XO(60%) Most common heart disease: Valvular pulmonary stenosis Most common heart disease: Bicuspid aortic valve 25% have intellectual disability Intellectual disability rare Genitourinary: Genitourinary: Female: Fertile, delayed puberty Female: Infertile, Streak ovaries Male: Infertile due to cryptorchidism No males Ref: nelson textbook of pediatrics 21st edition Pgno: 669,2995